CSF examination of a patient shows high protein markedly low sugar, low chloride and increased neutrophils. The diagnosis is –
1. Viral meningitis
2. Meningococcal meningitis
3. Tuberculous meningitis
4. Fungal meningitis

Correct answer: 2. Meningococcal meningitis